A 40 year old man whose both upper limbs are scalded. Percentage of burns are
1. 36%
2. 19%
3. 18%
4. 45%

Correct answer: 3. 18%

Explanation: Both UL included 18% of burns according to wallace’s rule of 9.